What effect does hyperventilation have on the oxygen binding affinity of hemoglobin?
1. P50 and oxygen affinity decrease
2. P50 and oxygen affinity increase
3. P50 decreases and the oxygen affinity increases
4. P50 increases and the oxygen affinity decreases

Correct answer: 3. P50 decreases and the oxygen affinity increases